An 85-year-old man is brought to the hospital with a 2-day history of nausea and vomiting. He has not passed gas or moved his bowels for the last 5 days. Abdominal films show dilated small bowel, no air in the rectum and air in the biliary tree. Which of the following statements is TRUE?
1. Air in the biliary tree associated with small-bowel obstruction suggests a diagnosis of gallstone ileus.
2. An enterotomy should be distal to the site of obstruction and the stone should be removed.
3. Gallstone ileus is more common in the young adults.
4. Cholecystectomy is contraindicated.

Correct answer: 1. Air in the biliary tree associated with small-bowel obstruction suggests a diagnosis of gallstone ileus.

Explanation: Gallstone ileus usually results from formation of a cholecystoenteric fistula and is seen more often in elderly patients. Obstruction occurs most often at the terminal ileum. Treatment is laparotomy and removal of the stone through an enterotomy proximal to the obstruction; cholecystectomy should be done if the patient can tolerate the additional surgery.